True about non competitive inhibition are all except?
1. Potency reduced
2. Km unchanged
3. V max reduced
4. Binds to another site of receptor

Correct answer: 1. Potency reduced

Explanation: Ans. is 'a' i.e., Potency reduced Competitive antagonist Antagonist bind to the same receptors as agonist Antagonist resembles chemically with the agonist The same maximal response can be obtained Potency is reduced (Right shift of DRC) Km is increased but Vmax is unchanged Non competitive antagonist Binds to another site of receptor Does not resemble Maximal response is supressed Efficacy is reduced (Flattening of DRC) Km is unchanged but Vmax. is reduced.